Korner's septum is seen in:
1. Petrosquamous suture
2. Temporosquamous suture
3. Petromastoid suture
4. Frontozygomatic suture

Correct answer: 1. Petrosquamous suture

Explanation: Petrosquamous suture